Type I thyroplasty is for -
1. Vocal cord medialization
2. Vocal cord lateralization
3. Vocal cord shortening
4. Vocal cord lengthening

Correct answer: 1. Vocal cord medialization

Explanation: Type 1: Medial displacement of vocal cord (done by injection of gel foam/Teflon paste)
Type 2: Lateral displacement of the cord (done to improve the airway).
Type 3: Shortening (relax) the cord, to lower the pitch (gender transformation from female to male).
Type 4: Lengthening (tightening) the cord, to elevate the pitch (gender transformation from male to female).